If the fetus has Down syndrome,quadruple marker will not show :
1. High hCG
2. Low Inhibin A
3. Low AFP
4. Low Estriol

Correct answer: 2. Low Inhibin A

Explanation: Aneuploidies AFP Estriol hCG Inhibin A Down's Syndrome Low Low High High